Which of the following is not spread by fomites?
1. Diarrhea
2. Typhoid
3. AIDS
4. Hepatitis A

Correct answer: 3. AIDS